Patent formen ovale is due to failure of fusion of?
1. Ostium primum with Endocardial cushion
2. Ostium primum with Ostium Secundum
3. Ostium primum with Septum primum
4. Septum primum with septum secundum

Correct answer: 4. Septum primum with septum secundum

Explanation: D i.e. Septum primum with septum secundumUnequal division of conus Gordis resulting from anterior displacement of conotruncal septum gives rise to Fallot's tetralogyQ.- Ligamentum teres hepatis is remnant of umbilical vein (left)Q and ligamentum arteriosum in adult is remnant of ductus arteriosusQ.Patent foramen ovale is d/t failure of septum primum with septum secundumQ.